Urinary symptoms of procidentia:
1. Frequency of micturition
2. Retention of urine
3. Stress incontinence
4. All of the above

Correct answer: 4. All of the above

Explanation: Ans. is d, i.e. All of the aboveRef: Dutta Gyane 6th/ed, p208All the urinary symptoms given in the options can occur in case of prolapse."Retention of urine may rarely occur." - Ref: Dutta Gyane 6th/ed, p208